Slate like discoloration of the skin is caused by all these drugs except?
1. Chlorpromazine
2. Minocycline
3. Amiodarone
4. Thiacetazone

Correct answer: 4. Thiacetazone

Explanation: D. i.e. Thiacetazone Blue, grey or slate like discoloration of skin is caused by argyria (silver), chrysiasis (gold), bismuth, amiodaroneQ (phototoxic eruption = exaggerated sunburn slate gray to violaceous discoloration of sun exposed skin, & yellow brown granules in dermal macrophage), minocyclineQ (diffuse blue-gray, muddy pigmentation skin, mucous, teeth, nails, bones and thyroid), chlorpromazineQ, phenothiazine and fixed drug eruptions (barbiturates, phenolphthalein), hemo chromatosis and pinta. Brown discoloration of skin is caused by arsenic (rain drop pigmentation) Q, ACTH therapy, adriamycin, busulfan, bleomycin, cyclophosphamide, contraceptive pills, oestrogens, and psoralens. (Berloque & phytophoto dermatitis). Mepacrine, picric acid, di/tri-nitrophenol, santonin and acriflavine stain skin yellow (like jaundice). Busulfan is used in CML and it 1/t busulfan lung (pulmonary fibrosis) and hyperpigmentationQ of skin. Busulfan causes mucous membrane & zidovudine lit nail pigmentation. Cyclophosphamide 1/t haemorragic cystitisQ due to metabolite acrolein. Methotrexate blocks DHFR-aseQ & prevents conversion of DHFA to THFA. It's toxicity can be overcomed by folinic acid (citrovorum factor)(2 & thymidineQ but not by folic acid.Q In low doses I/ t megaloblastic anemiaQ. In high doses 1/t pancytopeniaQ